Sternal puncture is done at which site
1. Junction of upper and lower half of body
2. Upper part of manubrium
3. Lower part of manubrium
4. Just above xiphisternum

Correct answer: 2. Upper part of manubrium

Explanation: Answer-B. Upper part of manubriumSternal punctureManubrium sterni is the preferred site for bone marrow aspiration because it is subcutaneous and readily accessible.The bone marrow sample is required for haematological examination. A thick needle is inserted into the upper part of the manibrium to avoid injury to arch of aorta, which lies behind the lower part.